Gout is a disorder of -
1. Purine metabolism
2. Pyrimidine metabolism
3. Ketone metabolism
4. Protein metabolism

Correct answer: 1. Purine metabolism